A 25-year-old male presents to the emergency department with occasional severe headaches, nausea, and vomiting. Blood pressure while sitting is 230/130 mmHg with a heart rate of 90 beats/min but on standing the blood pressure drops to 200/100 mmHg and the heart rate increases to 140 beats/min. A cardiovascular examination depicted tachycardia with normal S1, S2 sounds . The patient's lungs are clear. The optic discs are blurred, but there are no exudates or hemorrhages. Select appropriate treatment for such condition .
1. Labetalol
2. Nitroprusside
3. Phentolamine
4. Hydralazine

Correct answer: 3. Phentolamine

Explanation: If SBP gets reduced by >20mmHg & DBP get reduced by >10mmHg On change of posture=Postural or Orthostatic Hypotension * |HR * Headache+ HTN * In early phase, the BP will be elevated for few min-hours i.e. Episodic HTN * In late phase, the BP will show postural hypotension. All are Features of Pheochromocytoma [?] Phentolamine Option A & B- used in HTN encephalopathy (Unconsciousness, brisk reflexes) Option D- can l/t reflex tachycardia which ||HR